Parasitemia is highest in -
1. Vivax malaria
2. Ovale malaria
3. Falciparum malaria
4. Quartan malaria

Correct answer: 3. Falciparum malaria

Explanation: Pathogenesis of P. falciparum In Falciparum malaria Blood shows high degree of parasitemia (30-40% of RBCs may be infected) compared to other species (<2%) as P. falciparum Infects all RBCs and alveolar capillaries and coronary blood vessels are congested and filled with parasitized RBCs. Sequestration, i.e. holding back of the parasite in the blood vessels of deep visceral organs like brain, kidney, etc. leads to vascular occlusion.